Drugs that should be given with prescription of registered medical practitioner only are included in which schedule ?
1. Schedule C
2. Schedule E
3. Schedule H
4. Schedule I

Correct answer: 3. Schedule H

Explanation: Ans. is 'c' i.e., Schedule H